The most important use of transrectal ultarsonography (TRUS) is for
1. Screening for Ca prostate
2. Distinguishing prostate cancer from BPH
3. Systematic prostate biopsy in suspected prostate cancer
4. Guiding transurethral resection of prostate cancer

Correct answer: 3. Systematic prostate biopsy in suspected prostate cancer

Explanation: A transrectal ultrasound (TRUS) may also be called endorectal ultrasound. It is used to look at the prostate and tissues around it. A TRUS is often used to help diagnose prostate cancer if the prostate-specific antigen (PSA) level is high, or an abnormal area during a digital rectal exam (DRE) . TRUS is done to: look at the size and shape of the prostate look for abnormal areas in the prostate guide a needle during a biopsy to collect samples from the prostate " TRUS technology has become a mainstay of many image guided prostate interventions, including prostate biopsy, brachytherapy, cryotherapy, and high-intensity focused US " Campbell and walsh 11th edition